Consistent change in particular direction over a period of time
1. Sporadic
2. Endemic
3. Secular trend
4. Pandemic

Correct answer: 3. Secular trend